M.C. fungal infection in febrile neutropenia is ?
1. Aspergillus niger
2. Candida
3. Mucormycosis
4. Aspergillus fumigatus

Correct answer: 2. Candida

Explanation: Ans. is 'b' i.e., Candida